Which of the following is true about mature cysts of E. histolytica -
1. Endoplasm and ectoplasm are clearly defined
2. Eight chromatid bodies
3. Shows chromatid bodies and glycogen mass
4. Nuclear structure retains characteristics of trophozoite

Correct answer: 4. Nuclear structure retains characteristics of trophozoite